All are associated with EBV except ?
1. Infectious mononucleosis
2. Nasopharyngeal carcinoma
3. Oral hairy leukoplakia
4. Epidermodysplasia

Correct answer: 4. Epidermodysplasia

Explanation: Ans. is 'd' i.e., Epidermodysplasia Epstein - Barr Virus (EBV) . Belongs to Herpes viruses family. . Infection is most common in early childhood, with a second peak during late adolescence. . Infectious mononucleosis (IM) is usually a disease of young adults. . EBV is transmitted by saliva (oral secretions) of infected person. . Intimate oral contact, as in kissing is the predominant mode of transmission causes kissing disease. . The virus enter the pharyngeal epithelial cells and B cells through (CR 2 / or CD21) receptors. . Memory B Cells are the reservoir of EBV: Clinical Manifestations :Most primary infections are asymptomatic . Causes an acute self limited illness ---> Infectious mononucleosis (Glandular fever) . Incubation period 4-8 weeks . Age groups young adults . Most common symptom of IMN is sore throat . Most common sign is lymphadenopathy . Most common complication --> meningitis/encephalitis